Which of the following drug should be avoided in a 7 year old child?
1. Cefixime
2. Erythromycin
3. Ofloxacin
4. Amoxicillin

Correct answer: 3. Ofloxacin

Explanation: Ofloxacin is a flurroquinolone antibiotic. All Fluroquinolones are avoided in pregnancy and children they cause cartilage problems and tendinitis.